The cubitus-valgus deformity is a complication of -
1. # Lateral condyle of humerus
2. # Intercondylar of humerus
3. It of the olecranon
4. # Head of the radius

Correct answer: 1. # Lateral condyle of humerus

Explanation: Cubitus valgus is a common complication.
It is caused by persistent upward displacement of the fractured condyle or by retardation of epiphyseal growth on the affected side from damage to the growing epiphyseal cartilage.